A 34 year old housewife reports a three month history of feeling low, lack of interest in activities, lethargy, multiple body-aches, ideas of worthlessness, decreased appetite and disturbed sleep with early morning awakening. She is likely to benefit form:Anti-psychotics
1. Anti-psychotics
2. Anti-depressants
3. Anxiolytics
4. Hypno-sedatives

Correct answer: 2. Anti-depressants

Explanation: B i.e. AntidepressantMajor Depression symptoms (as included in)-DSM-IVICD-101. Depressed (low) moodeg feels empty or sad, appears tearful2. Loss (markedly diminished) pleasure or interest in all oralmost all activities most of the day nearly every day++++3. Loss of energy (feeling of fatigue or weakness) nearly everyday (ned)++4. Loss of confidence or self-esteem-+5. Unreasonable feelings of self reproach or excessive orinappropriate guilt, ned++6. Recurrent thoughts of suicide or death or suicidal behaviour +7. Diminished ability to think or concentrate or indecisivenessned++8. Psychomotor agitation or retardation++9. Insomnia or hypersomnia ned++10. Decrease or increase in appetite or weight (>5% in a month)++Depression most commonly seen in middle aged womenQ is characterized by low (sadness of) moodQ, depressive ideas (loss of self esteem, guilt feeling, hope/help/woh-lessness)(2, somatic syndrome (loss or sometimes increased appetite, weight, sleepQ, early morning awakening, loss of interest in pleasurable stumuli such as sexual drive, diurnal variation), psychotic features (delusions) and suicidal tendency. So the female is suffering from major depression and the treatment will be antidepressant.